Epidemiological features for japanese encephalitis include all of the following except -
1. The virus infects extra-human hosts
2. Man is an incident host
3. Infected pigs manifestation
4. Epidemics have been reported in Karnataka

Correct answer: 3. Infected pigs manifestation

Explanation: Infected pigs do not manifest any overt symptoms of illness but circulate the virus so that mosquitoes get infected and can transmit the virus to man. The pigs are thus considered as 'amplifiers 'of the virus. Reference:Park's textbook of preventive and social medicine,K.Park,23rd edition,page no:285.